The plain X-ray chest finding which suggests syphilitic cardiovascular disease is:
1. Linear calcification of the ascending aorta
2. Linear calcification of the aortic arch
3. Speckled calcification of the ascending aorta
4. Speckled calcification of the aortic arch

Correct answer: 1. Linear calcification of the ascending aorta

Explanation: X-Ray Films showing linear calcification of the ascending aorta suggests asymptomatic syphilitic aortitis. Arteriosclerosis seldom produces this type of calcification in ascending aorta Ref: Harrison, E-18, P-1384